Most common tumour of heart is:
1. Myxoma
2. Rhabdomyosarcoma
3. Fibroma
4. Leiomyosarcoma

Correct answer: 1. Myxoma

Explanation: Answer is A (Myxoma) Remember The most frequent cardiac tumor for all age groups is - Metastasis. The most frequent primary cardiac tumor for age groups is - Myxoma. The most frequent primary cardiac tumor in infants and children is - Rhabdomyoma